TRISS incluses all of the following except -
1. Injury severity score
2. Revised Trauma Score
3. Age
4. Urine Output

Correct answer: 4. Urine Output

Explanation: Ans. is 'd' i.e., Urine Output o TRISS (Trauma and injury severity score) determines the probability of survival of a trauma patient using following variables:a. ISS (injury severity score)b. RTS (Revised trauma score)c. Age(some books also include Mechanism of injury- blunt or penetrating)"Unfortunately, TRISS remains fundamentally flawed because of the limitations of RTS and ISS." - SchwartzRevised Trauma Score o Revised Trauma Score is made up of a combination of results from three categories:# Glasgow Coma Scale,# Systolic Blood Pressure, and# Respiratory rate